All are lateral branches of abdominal aorta, EXCEPT
1. Right testicular artery
2. Left renal artery
3. Inferior mesenteric artery
4. Middle suprarenal artery

Correct answer: 3. Inferior mesenteric artery

Explanation: C. i.e. Inferior mesenteric arteryOvarian or Testicular artery is lateral branch of abdominal aorta and uterine artery is a branch of internal iliac artery (anterior division).Lateral branches of abdominal aorta are - Inferior phrenic, Middle Suprarenal, Renal & Gonadal (testicular or ovarian) arteries. Mnemonic - "Inferior MS Ruin Gonads"